Tuberculin test is positive if induration is -
1. > 2mm
2. > 5mm
3. > 7mm
4. > 10mm

Correct answer: 4. > 10mm

Explanation: Ans. is 'd' i.e., > 10mm TUBERCULIN TESTo Skin testing (tuberculin test) is most widely used screening test for M. tuberculosis infection,o There are three main tests currently in use :Methodo Tuberculin reaction consists of erythma and induration. Since erythma is some times difficult to measure, induration alone is measured, erythma is not taken into account.Uses of tuberculin testo Diagnosing active infection in infants and young children,o Measure prevalence of infectiono Select suceptibleso As an indication of sucessful vaccination.